Pseudo resistant hypertension is seen in which situation?
1. Patient at office
2. Patient at home
3. Patient at Hospital
4. None of the above

Correct answer: 1. Patient at office

Explanation: Ans. A. Patient at officeResistant Hypertension1. It refers to patients with BP persistently >140/90mmHg despite taking three or more antihypertensive agents, including a diuretic, in reasonable combination and at full doses.2. Resistant hypertension may be related toa. "Pseudo resistance" (high office blood pressures and lower home blood pressures),b. Nonadherence to therapy,c. Identifiable causes of hypertension (including obesity and excessive alcohol intake) and use of any of a number of nonprescription and prescription drugs.d. Rarely, in older patients, pseudo hypertension may be related to the inability to measure blood pressure accurately in severely sclerotic arteries. This condition is suggested if the radial pulse remains palpable despite occlusion of the brachial artery by the cuff (Osier maneuver).3. The actual blood pressure can be determined by direct intraarterial measurement.